All are features of Bartters syndrome, EXCEPT:
1. Polyuria
2. Metabolic alkalosis
3. Periodic paralysis
4. Hypertension

Correct answer: 4. Hypertension

Explanation: Answer is D (Hypertension): Bartters syndrome: Review It is characterized by a defect in sodium-potassium co transport resulting in defective renal conservation of sodium and chloride.